Pulmonary fibrosis is an adverse effect of which of the following anti-cancer drugs?
1. Mitomycin C
2. Hydroxyurea
3. Bleomycin
4. Cisplatin

Correct answer: 3. Bleomycin

Explanation: Anticancer drugs causing pulmonary fibrosis are Bleomycin Busulfan Methotrexate Cyclophosphamide Carmustine